The only male is affected in –
1. Scheie's syndrome
2. Hunter's syndrome
3. Hurler's syndrome
4. Gaucher's disease

Correct answer: 2. Hunter's syndrome

Explanation: All these are lysosomal storage diseases.

Remember that -

"All lysosomal disease are autosomal recessive except for Hunter's syndrome and Fabry's disease which are X-linked recessive ".
As Hunter's syndrome is X-linked recessive, it will affect only males.